In an outbreak of cholera in a village of 2000 population 20 cases have occurred and 5 have died. Case fatality rate is ?
1. 1%
2. 0.25%
3. 5%
4. 25%

Correct answer: 4. 25%

Explanation: Ans. is `d' i.e., 25%